Ferric chloride test is positive in -
1. Penicillin overdose
2. Salicylate overdose
3. Dhatura poisoning
4. Cannabis poisoning

Correct answer: 2. Salicylate overdose

Explanation: Ans. is 'b' i.e., Salicylate overdose Ferric Chloride testo Is used to diagnose cases of Carbolic acid/ phenol and salicylate overdose.o Adding few drops of 10% ferric chloride solution to 1 ml of sample produces a blue color indicating a positive test.